The inhalational agent of choice in children is
1. Methoxyflurane
2. Sevoflurane
3. Desflurane
4. Isoflurane

Correct answer: 2. Sevoflurane

Explanation: An inhaled induction of anesthesia with sevoflurane in oxygen with or without nitrous oxide is a common method used in children because it does not require IV access. IV induction is selected in children who already have IV access, who request an IV induction, or for whom an IV induction is indicated (full stomach, persistent gastroesophageal reflux disease, significant potential for cardiopulmonary compromise). The most common induction anesthetic in children is propofol 2 to 3 mg/kg Basics of Anaesthesia 7e pg: 603